Within the intestine, epithelial cells originate from stem cells, proliferate in the crypts, and migrate up the villus in 2 to 5 days. This process replaces cells that are removed due to apoptosis or exfoliation. This rapid turnover makes the small intestine susceptible to
1. Starvation
2. Exogenous steroids
3. Radiation damage
4. Hypothermia

Correct answer: 3. Radiation damage

Explanation: The high cellular turnover rate of enterocytes makes the small intestine susceptible to damage by inhibitors of proliferation such as radiation and cytotoxic chemotherapy.